Disorder of hyperkeratinization?
1. Icthyosis vulgaris
2. Vitiligo
3. Atopic dermatitis
4. Seborrhic dermatitis

Correct answer: 1. Icthyosis vulgaris

Explanation: Hyperkeratinization: Icthyosis vulgaris Vitiligo is hypopigmentry disorder. Atopic dermatitis: itchy lichenified lesions over flexors of elbow and knee Seborrheic dermatitis: scaly lesion Icthyosis vulgaris: AD disorder Reduced or absence of filaggrin protein and granular layer Fish-like scales on the skin.